Most common carcinoma of breast is -
1. Ductal carcinoma
2. Colloid carcinoma
3. Lobular carcinoma
4. Sarcoma phylloides

Correct answer: 1. Ductal carcinoma

Explanation: Ans. (a) Ductal carcinoma(Ref: Robbins 9th/pg 1057)*Almost all (>95%) of breast malignancies are adenocarcinomas that first arise in the duct/lobular system as carcinoma in situ*Distribution of invasive carcinoma, breast*Invasive Ductal Carcinoma-70 to 80%*Invasive lobular Carcinoma-10%*Mucinous- 2%